True about lipid bilayer of cell wall:
1. Asymmetrical arrangement of cell membrane component
2. Lateral diffusion of ions
3. Symmetrical arrangement of cell membrane component
4. Not made up of amphipathic lipids

Correct answer: 1. Asymmetrical arrangement of cell membrane component

Explanation: Ans. (a) Asymmetrical arrangement of cell membrane component(Ref: Ganong, 25th ed/p.36)Most lipids are distributed unequally (asymmetric distribution)Some lipids are present on the outer surface of membrane. For example Glycolipids are usually seen on the outer sideSome lipids are present on the inner surface of membrane. For example phosphatidylinositol, and phosphatidylserine are usually seen on the inner side